Activator for self cure resin:
1. Benzoyl peroxide
2. Tertiary amine
3. Methyl ether
4. None of the above

Correct answer: 2. Tertiary amine

Explanation: Chemically activated resins (chemically cured composites) are supplied as two pastes, one of which contains the benzoyl peroxide initiator and the other an aromatic tertiary amine activator (e.g., N, N-dimethyl-p-toluidine).
Phillip’s 12th edition page 286